Ouabain acts by inhibiting:
1. Adenyl cyclase
2. Ca++ channels
3. H+K+ ATPase
4. Na+K+ ATPase

Correct answer: 4. Na+K+ ATPase

Explanation: Ref:KDT 6/e p496